X-linked inheritance the risk of a female carrier having an affected child is
1. 25
2. 50
3. 75
4. 100

Correct answer: 1. 25